Which drug is not effective against H.pylori-
1. Colloidal Bismuth
2. Metronidazole
3. Amoxicillin
4. Erythromycin

Correct answer: 4. Erythromycin